A 25-year-old male athlete is admitted to the emergency department after a bad landing in the pole vault. Radiographic examination of his hand reveals a fractured carpal bone in the floor of the anatomic snuffbox ( Fig). Which bone has most likely been fractured?
1. Triquetral
2. Scaphoid
3. Capitate
4. Hamate

Correct answer: 2. Scaphoid

Explanation: The floor of anatomic snuffbox formed by the scaphoid bone Possible fractured scaphoid can be palpated in anatomical snuff box Anatomic snuffbox is formed Anterolaterally by the tendons of the extensor pollicis brevis, the abductor pollicis longus Posteromedially by the extensor pollicis longus. contents - Radial Artery Superficial branch of Radial nerve Cephalic vein